Snake venom contains which of the following enzyme:
1. Phospholipase A1
2. Phospholipase A2
3. Phospholipase C
4. Phospholipase D

Correct answer: 2. Phospholipase A2

Explanation: Snake venom Contains Phospholipase A2 (PLA2) PLA 2 hydrolyze the ester bond at position 2 of phospholipids present in plasma membrane of various cells, eg : erythrocytes. PLA 2 also affects neurons at pre-synaptic or post-synaptic cleft to cause neurotoxicity. Phospholipases A1 A2 C D Present in Pancreatic fluid Present in Erythrocytes and snake venom Major toxins secreted by bacteria Role in Mammalian signal transduction